Which one of the following statements is true regarding Chlamydia pneumoniae -
1. Fifteen serovars have been identified as human pathogens.
2. Mode of transmission is by the airborne bird excreta
3. The Cytoplasmic inclusions present in the sputum specimen are rich in glycogen
4. The group specific antigen is responsible for the production of complement fixing antibodies

Correct answer: 4. The group specific antigen is responsible for the production of complement fixing antibodies